neologism is a charecterstic of
1. schizophrenia
2. mania
3. depression
4. phobia

Correct answer: 1. schizophrenia

Explanation: Type of thought disorder clinical condition clang assosiation mania flight of ideas mania prolixity hypomania loosening of assosiation schizophrenia neologism schizophrenia circumstantiality organicity Ref. Kaplon and Sadock, synopsis of psychiatry, 11 th edition, Pg.No.194